At 30 days of intrauterine life
1. Heart starts beating
2. Cerebellum develops
3. Optical vesicle appears
4. Pinna appears

Correct answer: 3. Optical vesicle appears

Explanation: *Optical vesicle come in contact with surface ectoderm and lens place is forming by the 4th week of IUL - the eyes begin to develop as a pair of diverticula from the lateral aspects of the forebrain. These diverticula make their appearance before the closure of the anterior end of the neural tube; after the closure of the tube, they are known as the optic vesicles. *Ear pinna or auricle starts forming by the 5th week of IUL *Cerebellum starts forming by the 8th week of IUL *The baby's heartbeat starts as the blood flow begins by 22nd day of IUL (Reference: I B Singh's Embryology, 10th edition, pg 374, 281)